All are true about Net protein utilization (NPU) except:
1. Defined as Nitrogen retained / Nitrogen consumed X 100
2. Good for estimating protein quality
3. Egg has the highest NPU value
4. 1 gram protein is equivalent to 1 gram Nitrogen

Correct answer: 4. 1 gram protein is equivalent to 1 gram Nitrogen

Explanation: NPU Nitrogen retained by the body/ Nitrogen intake x100 NPU = / 100 It gives a more complete expression of Protein quality. Egg has the highest NPU value of 96 (100). 1 gram of Nitrogen is equivalent to : 6.25 grams of protein. NPU of Indian diet : 50-80.